In adult polycystic kidney, all are true except ?
1. Hypertension is rare
2. Hematuria is a common symptom
3. Cysts are seen in liver spleen and pancreas
4. Autosomal dominant transmission is seen

Correct answer: 1. Hypertension is rare

Explanation: Ans is (a) hypertension is rare Hypertension is present in up to 75% of patients over the age of 20 years with polycystic disease.